School of fish appearance is characteristic of -
1. Bordetella pertussis
2. Yersinia enterocolitica
3. Haemophillus ducreyi
4. Legionella

Correct answer: 3. Haemophillus ducreyi

Explanation: Ans. is 'c' i.e., Haemophillus ducreyi* H duceryi is Gram negative but often may appear Gram positive and frequently shows bipolar staining.* The bacilli may be arranged in small groups or whorls or in parallel chains giving a "school offish" or "rail road track appearance".